Why intravenous quinine, used in the management of complicated and severe malaria, given with 5% dextrose?
1. To avert risk of hypoglycemia
2. To avert risk of dehydration
3. To avert risk of electrolyte imbalance
4. To maintain renal blood flow

Correct answer: 1. To avert risk of hypoglycemia

Explanation: Ans. is 'a' i.e., To avert risk of hypoglycemia Quinine for the management of complicated and severe malaria including cerebral malaria:* Intravenous Quinine (i.v.) has been the drug of choice for cerebral malaria (falciparum malaria with impaired consciousness) and other forms of complicated malaria.* Hypoglycaemia due to hyperinsulinemia is the most important side effect due to intravenous administration of quinine, which can be prevented by infusing quinine in 5% dextrose.